Carcinoma cervix is commonly associated with following sub type of HPV
1. HPV-16, 18
2. HPV-42, 44
3. HPV - 62, 66
4. HPV - 6, 11

Correct answer: 1. HPV-16, 18

Explanation: (A) HPV - 16, 18# HUMAN PAPILLOMAVIRUS (HPV):> HPV plays an important role in the development of CIN. HPV infected cells (koilocytes) are characterized by enlarged cells with perinuclear halos. The nucleus is large, irregular and hyperchromatic. Depending on their oncogenic potential, HPV types are broadly grouped into two. More than 130 HPV types have been identified.> High oncogenic risk - Types 16, 18, 31, 58> Low oncogenic risk - Types 6, 11,42, 43> Over 90% of patients with CIN and invasive cancer are found to be positive with HPV DNA. HPV DNA detection in cervical tissues may be a screening procedure as that of pap smear. Polymerase chain reaction or southern blot or hybrid capture (HC) technique is used for HPV DNA detection.